Infant mortality rate is
1. Death of infants per 1000 pregnent women
2. Death of infants per 1000 births
3. Death of infants per 1000 live births
4. Death of infants per 1000 population

Correct answer: 3. Death of infants per 1000 live births

Explanation: o IMR is defined as the number of death of child of less than 1 years of age per 1000 live births. It is a rate.
IMR